Digoxin act on the heart by:
1. Decreasing preload
2. Increasing the force of contraction
3. Decreasing the afterload
4. Decreasing heart rate

Correct answer: 2. Increasing the force of contraction

Explanation: b.Ref: KDT, 5,h ed, p. 465, 457-458 & 4th ed, p. 494